MRI can be done in:
1. Cardiac pacemaker
2. Insulin pumps
3. Cochlear implants
4. Pregnancy

Correct answer: 4. Pregnancy

Explanation: MRI is a technique using Non Ionising Radiation and is Safe in pregnancy All other options are contraindications of MRI Contraindications for MRI: All type of metallic implants like 1.Cardiac pacemakers 2.Insulin pump 3.Prosthetic cardiac valve 4.Ocular metallic foreign body 5.Cochlear implant